Cobra venom is
1. Hemotoxic
2. Neurotoxic
3. Myotoxic
4. None of the above

Correct answer: 2. Neurotoxic

Explanation: Ans) b (Neurotoxic) Ref: Reddy 27th ed p 494Cobra venom is neurotoxic.Different kinds of venomNeurotoxic venom - Cobra, krait (Elapidae family)Hemotoxic venom - Viper, (due to phosphatidases)Myotoxic - Sea snakesIdentifying features of snakesCobra - Spectacle mark. 3rd supralabial is large and touches the eye.Krait - 4lh infralabial is large. Central row of hexagonal scales.Pit viper - Pit b/w the eye and nostrils.Note:Most poisonous snake - Australian tiger snakeLargest snake - PythonMost of the snakes are non poisonous.